The subarachnoid space inflammation of bacterial meningitis, which is caused by a gram-negative bacterium, is induced by which one component of the bacteria?
1. Matrix protein
2. Lipopolysaccharide (LPS)
3. Pili
4. Inner membrane

Correct answer: 2. Lipopolysaccharide (LPS)

Explanation: Ans. B. Lipopolysaccharide (LPS)ENDOTOXINS: are part of the outer cell wall of gram negative bacteria.* Lipopolysaccharides consists of three components:(1) Lipid A(2) Core polysaccharide(3) O polysaccharide* The biological activity of endo toxin is associated with the lipid A portion of LPS.